In congenital dystrophic variety of epidermolysis bullosa, mutation is seen in the gene conding for –
1. Laminin 4
2. Collagen type 7
3. Alpha 6 integerin
4. Keratin 14

Correct answer: 2. Collagen type 7

Explanation: Dystrophic epidermolysis bullosa (dermal type EB) there is defect in the enzyme collegenase and type 7 collegan.